Which of the following is not a potential etiology of peripheral cyanosis?
1. Cold exposure
2. Deep venous thrombosis
3. Methemoglobinemia
4. Peripheral vascular disease

Correct answer: 3. Methemoglobinemia

Explanation: In the evaluation of cyanosis, the first step is to differentiate central from peripheral cyanosis. In central cyanosis, because the etiology is either reduced oxygen saturation or abnormal hemoglobin, the physical findings include bluish discoloration of both mucous membranes and skin.
In contrast, peripheral cyanosis is associated with normal oxygen saturation but slowing of blood flow and an increased fraction of oxygen extraction from blood; subsequently, the physical findings are present only in the skin and extremities. Mucous membranes are spared.
Peripheral cyanosis is commonly caused by cold exposure with vasoconstriction in the digits.
Similar physiology is found in Raynaud’s phenomenon. Peripheral vascular disease and deep venous thrombosis result in slowed blood flow and increased oxygen extraction with subsequent cyanosis. Methemoglobinemia causes abnormal hemoglobin that circulates systemically. Consequently,the cyanosis associated with this disorder is systemic.
Other common causes of central cyanosis include severe lung disease with hypoxemia, right-to-left intracardiac shunting, and pulmonary arteriovenous malformations.